A patient came to eye OPD with disc shaped edema over cornea and has a history of vesicles over lips few weeks back. There is no ulcer on staining. What can be the diagnosis:
1. Disciform viral keratitis
2. Marginal ulcer
3. Metherpetiform keratitis
4. None of the above

Correct answer: 1. Disciform viral keratitis

Explanation: The clinical features are suggestive of disciform keratitis seen in herpetic eye infections DISCIFORM KERATITIS Hypersensitivity reaction to HSV antigen Endothelitis f/b stromal edema Focal disc shaped edema with no ulcer KP may be present Wessley ring may be present Diminished corneal sensation Mild uveitis and rise of iop Antiviral + steroid